Pneumococcal meningitis is associated with the following CSF findings:
1. Pleocytosis with low protein and low sugar
2. Pleocytosis with high protein and low sugar
3. Lymphocytosis with low protein and low sugar
4. Lymphocytosis with high protein and low sugar

Correct answer: 2. Pleocytosis with high protein and low sugar

Explanation: Answer is B (Pleocytosis with high protein and low sugar): Bacterial meningitis (Pneumococcal meningitis) is characterized by polymorphonuclear leucocytosis, high protein concentration and low sugars. Pleocytosis refers to presence of increased numbers of both neutrophils and lymphocytes, and is more typical of Tubercular meningitis, however for the purpose of this question, pleocytosis with high protein and low sugar is the single best answer amongst the options provided. Cerebrospinal Fluid (CSF) Abnormalities in Bacterial Meningiti Opening pressure - > 180 rnm H2O White blood cells - 101.IL; neutrophils predominate Red blood cells - Absent in nontraumatic tap Glucose - < 2.2 minol/L CSFiserum glucose - < 0.4 Protein - > 0.45 g/1_, (> 45 mg/dL) Gram's stain - Positive in > 60% Culture - Positive in > 80% Larex agglutination - May be positive in patients with meningitis due to S. pneumoniae, N. meningitis, H. Intluenzae type B, E.coli, group B streptococci Limulus lysate - Positive in cases of gram-negative meningitis PCR - Detects bacterial DNA